Normal cerebral blood flow in ml/min ?
1. 55
2. 150
3. 750
4. 1000

Correct answer: 3. 750

Explanation: Ans. is 'c' i.e., 750 The cerebral blood flow (CBF) is about 750 ml/min (15% of total cardiac output), or 54 m1/100 gm brain tissue per minute